The first line of drug to be preferred for the treatment of akathesia is -
1. Benzhexol
2. Trihexy phenedyl hydrochloride
3. Promethazine
4. Propranolol

Correct answer: 4. Propranolol